Which of the following is not a feature of tropical pulmonary eosinophilia(TPE)?
1. Eosinophil > 3000/mm3
2. Presence of circulating Microfilaria
3. Paroxysmal cough and wheeze
4. Bilateral chest mottling

Correct answer: 2. Presence of circulating Microfilaria

Explanation: In tropical pulmonary eosinophilia, microfilariae and parasite antigens are rapidly cleared from the blood stream by the lungs and is therefore not found in the circulation. TPE develops in individuals infected with lymphatic dwelling filarial species. Characterisitc features includes paroxysmal cough and wheezing, fever, weight loss, lymphadenoapthy and pronounced blood eosinophilia (more than 3000eosinophils/microL). Chest Xray shows increased bronchovascular markings. Reference: Harrison's Principles of Internal Medicine 18e chapter 218.